5-HIAA (Hydroxyindoleacetic Acid) is a metabilite of which of the following neurotransmitters?
1. Noradrenaline
2. Serotonin
3. GABA
4. Glutamine

Correct answer: 2. Serotonin

Explanation: Serotonin (5-HT) is metabilised the key enzyme Mono Amino Oxidase (MAO) and one of the main metabolite of clinical significance is 5-HIAA. The CSF levels of 5-HIAA (Hydroxyindoleacetic Acid) is low in patients who committed suicide, in depression and violence. It is considered to be associated with poor impulse control. It can be used to predict violent suicide. It is not known to be reduced in OCD. Ref: Kaplan & Sadock's Synopsis of Psychiatry, By Benjamin J Sadock, M.D., Harold I. Kaplan, Virginia A Sadock, M.D, 10th Edition, Page : 265